A 20-year-old male presents with nasal obstruction and nasal discharge. Nasal endoscopy shows a large polyp in the right nostril extending into the nasopharynx. His NCCT nose and PNS axial view is given. He should be managed by:
1. Intranasal polypectomy
2. Steroids
3. FESS
4. Caldwell Luc

Correct answer: 3. FESS

Explanation: (c) FESS(Ref. Cummings, 6th ed., 760)The NCCT nose and PNS axial view shows the right maxillary sinus filled with mass, going to the nasal cavity and extending into the nasopharynx, suggestive of antrochoanal polyp. Also notice the crescent of air in the nasopharynx, between the mass and the posterior pharyngeal wall known as Dodd/ crescent sign.